In comparison to maxillary first molar 2nd molar has
1. More distorted crown
2. Obtuse angle becomes more obtuse
3. Acute angle becomes more acute
4. All of the above

Correct answer: 4. All of the above